The following is true regarding benzodiazepines ?
1. It alters sleep pattern more than sedatives
2. All have pharmacologically active metabolites
3. Induces liver enzyme
4. If taken in higher doses it is less toxic than other sedatives

Correct answer: 4. If taken in higher doses it is less toxic than other sedatives

Explanation: Ans. is 'd' i.e., If taken in higher doses it is less toxic than other sedatives o BZDs have a high therapeutic index. Ingestion of even 20 hypnotic doses does not usually endager life --> Benzodiazepines have flat dose response curves.